True about endotracheal intubation is:
1. It reduces normal anatomical dead space
2. It produces decrease in resistance to respiration
3. Subglottic edema is most common complication
4. All of the above

Correct answer: 1. It reduces normal anatomical dead space

Explanation: A i.e. It reduces the normal anatomical dead space - Endotracheal tube decreases the anatomical dead space (150 ml) to as less as 25 ml. - Endotracheal intubation increases the resistance to respiration; obstruction from kinking, foreign body or secretions further increase resistance. Subglottic edema, though a complication, is not the most common one.